Which of the following parts of the internal capsule are associated with acoustic radiation
1. Genu
2. Anterior limb
3. Retrolenti form
4. Sublentiform

Correct answer: 4. Sublentiform

Explanation: (Sublentiform) Ref: 365-BDC-3Fibers in the Internal capsulePartDescending tractsAscending tracts1. Anterior limbFrontopontine fibres (a part of the corticoponto- cerebeller pathway)Anterior thalamic radiation (fibres from anterior and medial nuclei of thalamus)2. GenuCortico nuclear fibres (a part of the pyramidal tract going to motor nuclei of cranial nerves and forming their supranuclear pathwayAnterior part of the superior thalamic radiation (fibres from posterior ventral nucleus of thalamus)3. Posterior limb1. Corticospinal tract (pyramidal tract for the upper limb, trunk and lower limb)2. Corticopontine fibres3. Contrirubral fibres1. Superior thalamic radiation2. Fibres from globus pallidus to sabthalamic nucleus4. Retrolentiform part1. Parietopontine and occipitopontine fibres2. Fibres from occipital cortex to superior colliculus and pretectal regionPosterior thalamic radiation made up of1. Mainly by optic radiation2. Partly by fibres connecting to the thalamus (Posterior part)5. Sublentiform part1. Parietopontine and temporopontine fibres2. Inter connections between temporal lobe and thalamus* Auditory radiation